Isolated deletion of which chromosome cause myelodysplastic syndrome
1. 2q
2. 5q
3. 8q
4. llq

Correct answer: 2. 5q

Explanation: Ans. is 'b' i.e., 5q